Ammonia is detoxified in brain by formation of
1. Glutamate
2. Uric acid
3. Glutamine
4. Urea

Correct answer: 3. Glutamine

Explanation: The transport form of Ammonia in blood and from Brain is Glutamine. From muscles, it is Alanine. The answer is not glutamate because free ammonia is trapped by glutamine Glutamate is formed transamination of amino acids, not from free ammonia.